Large doses of vitamin-K in a newborn causes?
1. Bulging of posterior fontanel
2. Hemolytic anemia
3. Convulsions
4. Hyperprothombinemia

Correct answer: 2. Hemolytic anemia

Explanation: ANSWER: (B) Hemolytic anemiaREF: KDT 7zhedp. 596Effects of large doses of Vitamin-KRapid iv injection causes breathlessness, sense of constriction, fall in BPHemolysis, especially in G6P deficiencyKernicterus in newborns